Most common fungal infection in febrile neutropenia is
1. Aspergillus niger
2. Candida albicans
3. Mucormycosis
4. Aspergillus fumigatus

Correct answer: 2. Candida albicans

Explanation: Candida albicans is the normal inhabitant of skin, GIT, oral and vaginal cavities. Candidiasis is an opportunistic endogenous infection. Neutropenia is an immunocompromised condition, so candida infection is more common in them. Ref: Textbook of Microbiology, Ananthanarayan and Paniker; 9th edition .